If a mother is donating her kidney to son, this is an example of which of the following?
1. Isograft
2. Allograft
3. Autograft
4. Xenograft

Correct answer: 2. Allograft

Explanation: Donor and recipient are of same species and different individual : Allograft Donor and recipient are of same individual : Autograft Graft between different individual but of similar genetic makeup as in identical twins : Isograft Graft between different species : Xenograft For any organ transplantation, the single most important gene which has to be match is HLA DR for successful transplantation.